Keratin 5 and 14 are produced in which layer
1. stratum corneum
2. stratum granulosum
3. stratum spinosum
4. stratum basale

Correct answer: 4. stratum basale

Explanation: Stratum Basale It has mitotically active cuboidal cells from which the upper layers of the epidermis are derived. Attached to dermis by hemidesmosomes. Keratins 5 and 14 produced here. Cellular proliferation stimulated by various factors, including trauma and UV (|ornithine decarboxylase expression is associated with (a/w) proliferative states). Ornithine decarboxylase is inhibited by corticosteroids, retinoids, and vitamin D3. 10% of cells in the basal layer are stem cells, which give rise to other stem cells and transient amplifying cells that can still replicate, but only for a few cycles, until they reach a terminal differentiation phase, where they move upwards and eventually desquamate. Ref:- Review of Dermatology by Alikhan; pg num:- 1,2